Systemic vascular resistance is twice that of normal, treatment should be
1. Adrenaline
2. Nor adrenaline
3. Sodium nitroprusside
4. Isoprenaline

Correct answer: 3. Sodium nitroprusside

Explanation: Increase in systemic vascular resistance means vasoconstriction, this is a vasodilator drugs like nitroprusside is given. Adrenaline and noradrenaline act as vasopressors whereas isoprenaline increases systolic blood pressure by acting on heart Refer kDT 7/e p567